Caplan's syndrome is seen in:
1. COPD
2. Pneumoconiosis
3. Pulmonary edema
4. Bronchial asthma

Correct answer: 2. Pneumoconiosis

Explanation: Caplan's syndrome is a combination of rheumatoid arthritis (RA)and pneumoconiosis that manifests as intrapulmonary nodules, which appear homogenous and well-defined on chest X-ray. -When a person with rheumatoid arthritis is exposed to such offensive materials, they are at an increased risk of developing pneumoconiosis.